All are the causes of neovascular glaucoma except
1. Central serous retinopathy
2. Diabetic retinopathy
3. lntraocular tumour
4. Central retinal vein occlusion

Correct answer: 1. Central serous retinopathy

Explanation: NEOVASCULAR GLAUCOMA (NVG) It is an intractable glaucoma which results due to formation of neovascular membrane involving the angle of anterior chamber. Etiology: It is usually associated with neovas cularization of iris (rubeosis iridis). Neovascularization develops following retinal ischaemia, which is a common feature of : 1) Diabetic retinopathy, 2)Central retinal vein occlusion, 3)Sickle-cell retinopathy and 4)Eales' disease. Other rare causes are chronic intraocular inflammations, intraocular tumours, long-standing retinal detachment and central retinal artery occlusion. Ref:- A K KHURANA; pg num:- 234